Cleft lip repair is usually performed
1. 3-6 months of age
2. 6-9 months of age
3. 9-12 months of age
4. After one year of age

Correct answer: 1. 3-6 months of age

Explanation: There have been many different surgical techniques and sequences advocated in cleft lip and palate management. Cleft lip repair is commonly performed between 3 and 6 months of age, whereas cleft palate repair is frequently performed between 6 and 18 months.